The antigen lacking in Rh negative person is ?
1. C
2. D
3. d
4. E

Correct answer: 2. D

Explanation: Ans. is 'b' i.e., D Rh blood group system is composed of the C, D and E antigens. D is by far the most antigenic component and the term Rh-positive means that the individual has antigen D. o Th Rh-negative individual has no D antigen.